Following is not true concerning amyloidosis
1. Amyloidosis associated with multiple myeloma has the poorest prognosis
2. Fine - needle biopsy of subcutaneous abdominal fat is a simple & reliable method for diagnosing secondary systemic amyloidosis
3. Hepatic amyloid disease produces hepatomegaly but rarely jaundice
4. Amyloidosis of the spleen is associated with severe anemia

Correct answer: 4. Amyloidosis of the spleen is associated with severe anemia

Explanation: Amyloidosis of the spleen characteristically is not associated with leukopenia & anaemia. all other options are true